Fracture of mid face does not lead to
1. Proptosis
2. Lengthening of face
3. Malocclusion of teeth
4. Anesthesia of upper lip

Correct answer: 1. Proptosis

Explanation: Proptosis is the forward protrusion or displacement of the eyeball. It does not occur in fracture of middle third of the face. It may occur in the fractures of the upper third of face especially fracture of the supraorbital ridge. Ref: Textbook of ENT; Dhingra; pg 181